High resolution computed tomography of the chest is the ideal modality for evaluating
1. Pleural effusion
2. Interstitial lung disease
3. Lung mass
4. Mediastinal adenopathy

Correct answer: 2. Interstitial lung disease

Explanation: B i.e. Interstitial Lung disease Routine chest CT examinations consists of adjacent 8-10 mm sections through the area of interest. Intravenous contrast medium may be injected when the primary purpose of examination is to show the mediastinum or hilar structures. High resolution CT (HRCT) uses very thin 1-2 mm thick.Q HRCT of lung is designed primarly to diagnose : - BronchiectasisQ - Interstial Lung diseaseQ as fibrosing alveolitis, asbestosis etc. - When lung biopsy is required, HRCT is useful for determining most appropriate area from which biopsy sample should be taken.